Arachidonic acid metabolites are all except:
1. Prostaglandin G2
2. Leukotriene C4
3. Thromboxanes
4. Phospholipase

Correct answer: 4. Phospholipase

Explanation: The lipid mediators prostaglandins and leukotrienes are produced from arachidonic acid (AA) present in membrane phospholipids, and stimulate vascular and cellular reactions in acute inflammation. AA derived mediators, also called eicosanoids (because they are derived from 20 carbon fatty acids; Greek eicosa = 20) These are synthesized by two major classes of enzymes: cyclooxygenases (which generate prostaglandins and thromboxanes) lipoxygenases (which produce leukotrienes and lipoxins) Principal actions of Arachidonic acid metabolites in inflammation Action Eicosanoid Vasodilation Prostaglandins PGI2 (prostacyclin), PGE1, PGE2, PGD2 Vasoconstriction Thromboxane A2, leukotrienes C4, D4, E4 Increased vascular permeability Leukotrienes C4, D4, E4 Chemotaxis, leukocyte adhesion Leukotrienes B4, HETE (hydroxyeicosatetraenoic acid.)